Pulsatile exopthalmus is seen in
1. Wyburn Mason syndrome
2. Caroticocavernous fistula
3. Both
4. None of the above

Correct answer: 3. Both

Explanation: Wyburn Mason syndrome/Cerebrofacial arteriovenous metameric syndrome (CAMS)is Retinocephalic vascular Malformation with port-wine stain, pulsatile exophthalmos, and seizures. Carotico Cavernous fistulas with basal skull fractures also show pulsatile exophthalmos with a prominent superior ophthalmic vein. MRI axial image showing proptosis of right eye ball with prominent superior opthalmic vein (arrow) as seen in Coratico-cavernous fistula.